Neurovascular bundle in each intercostal space comprises of
1. Intercostal nerve
2. Posterior intercostal vein
3. Posterior intercostal artery
4. All of the above

Correct answer: 4. All of the above

Explanation: (D) All of the above> Neurovascular bundle in each intercostal space comprises of:-> Intercostal nerve> Posterior intercostal vein> Posterior intercostal artery